Cephalic phase of gastric secretion is mediated by
1. Parasympathetic system
2. Sympathetic systme
3. Gastrin
4. Local reflexes

Correct answer: 1. Parasympathetic system

Explanation: The cephalic phase of gastric secretion occurs even before food enters the stomach, especially while it is being eaten. It results from the sight, smell, thought, or taste of food, and the greater the appetite, the more intense is the stimulation. Neurogenic signals that cause the cephalic phase of gastric secretion originate from the cerebral cortex and in the appetite centers of the amygdala and hypothalamus. They are transmitted through the dorsal motor nuclei of the vagi and then through the vagus nerve to the stomach. This phase of secretion normally accounts for about 20 percent of the gastric secretion associated with eating a meal.Ref: Ganong's review of medical physiology 23rd edition Page no: 432